Ketamine can be used in all of the situations except  a) Status asthmaticusb) For analgesia & sedationc) Obstetric hemorrhaged) Ischemic heart diseasee) Aortic aneurysm
1. ab
2. de
3. cd
4. bd

Correct answer: 2. de

Explanation: Ketamine increases BP, HR & myocardial O2 demand, therefore it is contraindicated in IHD, hypertensive heart disease and aortic aneurysm.